Which of the following are not local anesthetics – a) Bupivacaineb) Mepivacaine c) Mivacuriumd) Butorphenole) Buprenorphine
1. cde
2. acd
3. bde
4. ade

Correct answer: 1. cde

Explanation: Amongst the given options bupivacaine and mepivacaine are local anaesthetics.